PAP smear is an example of
1. Early diagnosis and treatment
2. Health promotion
3. Specific protection
4. Disability limitation

Correct answer: 1. Early diagnosis and treatment

Explanation: Ans. (a) Early diagnosis and treatmentRef : K. Park 23rd ed. / 41, 370* Pap smear is a screening test for cervical cancer. It is an example of secondary level of prevention. The mode of secondary level of prevention is by early diagnosis and treatment.